Which deleterious effect is least likely to occur in hypothermia -
1. Cardiac arryhthmia
2. Decreased peripheral resistance
3. Reversible coagulation
4. Renal failure

Correct answer: 2. Decreased peripheral resistance